Which of the following is seen in seropositive rheumatoid arthritis?
1. Multiple joints affected
2. Symmetrical joint symptoms
3. Joint pain and swelling
4. All

Correct answer: 4. All

Explanation: * Positive for Rheumatoid factor in blood is seropositivity. * Patients with positive rheumatoid factor usually present with symptoms like * Joint deformities & disability * Symmetrical involvement of joints * Inflammation * Swelling and painful in multiple joints, especially of hands and feet. * Morning stiffness (short term) * Development of firm lumps near joints - "Rheumatoid nodules" * Deterioration of bone & cartilage (X- ray findings REF : HARRISONS 21ST ED